Proton consists of:
1. 2 up quarks + 1 down quarks
2. 2 up quarks + 2 down quarks
3. 1 up quarks + 2 down quarks
4. 1 up quarks + 1 down quarks

Correct answer: 1. 2 up quarks + 1 down quarks

Explanation: Protons are spin-½ fermions and are composed of three valence quarks, making them baryons (a sub-type of hadrons). The two up quarks and one down quark of a proton are held together by the strong force, mediated by gluons.